The most common site for CSF rhinnorhea from a dural fistula is which of the following?
1. Ethmoidal sinus
2. Frontal sinus
3. Petrous
4. Cribriform plate

Correct answer: 4. Cribriform plate

Explanation: The most common site for dural fistula is in the anterior cranial fossa, in the area of the cribriform plate. Here, the bone is very thin and the dura is tightly adherent to the bone. A fracture in this area allows CSF to leak through torn arachnoid and dura into the nasal cavity, resulting in CSF rhinorrhoea.